Which one of the following drug is used in Alzheimer's disease :
1. Tacrine
2. Pemoline
3. Doxapram
4. Methylphenidate

Correct answer: 1. Tacrine